Ossification centre of scaphoid appears at
1. 1-6 months
2. 1 to 2 years
3. 2 to 4 years
4. 4 to 6 years

Correct answer: 4. 4 to 6 years

Explanation: Answer- D. 4 to 6 years